Beyron point is located at:
1. 13 mm anterior to posterior margin of tragus on a Line from center of tragus to outer canthus
2. 11 mm anterior to posterior margin of tragus on a Line from parallel to and 7 mm below FHP
3. 10 mm anterior to posterior margin of tragus on a Line from center of tragus to outer canthus
4. 13 mm anterior to tragus on a line from base of tragus to outer canthus

Correct answer: 1. 13 mm anterior to posterior margin of tragus on a Line from center of tragus to outer canthus